The "rotator cuff' includes all muscles EXCEPT:
1. Supraspinatus
2. Infraspinatus
3. Terse major
4. Subscapularis

Correct answer: 3. Terse major

Explanation: (Teres Major): Ref: 489-Snell 7thROTATOR CUFF: - Four muscles - the supraspinatus, the Infraspinatus, the Teres minor, and the subscapularis - form what is termed the "rotator cuff'. The tone of these muscles assists in holding the head of the humerus in the glenoid cavity of the scapula during movements at the shoulder joint. Therefore they assist in stabilizing the shoulder joint. The cuff lies on the anterior, superior, and posterior aspects of the joint. The cuff is deficient inferiorly, and this is a site of potential weakness.